Side effect of clomiphene citrate includes all except :
1. Multiple pregnancy
2. Increase risk of ovarian cancer
3. Multiple polycystic ovary
4. Teratogenic effect on off springs

Correct answer: 4. Teratogenic effect on off springs

Explanation: Side effects of Clomiphene Hot flushes 10-20%, sweating due to estrogen deficiency,osteoporosis. anti estrogenic effect on cervical mucosa and endometrium, corpus Luteal Phase Defect Nausea and Vomiting Breast tenderness,weight gain Abdominal discomfort Mood swings Rashes(urticaria),headache,dizziness Multiple pregnancies Ovarian Hyperstimulation Syndrome Visual disturbances:blurring, scotoma, Rare, 1-2% Hairloss Premature ovarian failure Ovarian malignancy if the treatmentis extended beyound 1 year. Ref: D.C. Dutta's Textbook of Gynaecology, 6th edition, page no: 53